Doc for Her 2 positive breast carcinoma is:
1. Trastuzumab
2. Tamoxifen
3. Exemestane
4. Fluvestrant

Correct answer: 1. Trastuzumab

Explanation: Ans. a. TrastuzumabRef: Goodman Gilman 13th E/P1209Her-2 PositiveDrug of Choice for Breast Cancer ER positiveDrug of choice: TrastuzumabDrug of choice in Trastuzumab resistance: LapatinibPremenopausal PostmenopausalDrug of Choice: Tamoxifen Drug of Choice: Aromatase Inhibitors likeExemestane